Virchow triad include all except
1. Injury to vein
2. Venous thrombosis
3. Venous stasis
4. Hyper coagulability of blood

Correct answer: 2. Venous thrombosis

Explanation: Ref Robbins 7/e p130; 9/e p122